Menorrhagia ('heavy periods') is defined as a blood loss of greater than:
1. 35 mL per period
2. 55 mL per period
3. 80 mL per period
4. 120 mL per period

Correct answer: 3. 80 mL per period

Explanation: Ans. C. 80mL per period* Menorrhagia ('heavy periods') is defined as a blood loss of greater than 80 mL per period.* This definition is rather arbitrary but represents the level of blood loss at which a fall in hemoglobins and hematocrit concentration commonly occurs.